Following arteries anastomose in the little's area except ?
1. Anterior ethmoidal artery
2. Superior labial artery
3. Sphenopalatine artery
4. Lesser palatine artery

Correct answer: 4. Lesser palatine artery

Explanation: Ans. is 'd' i.e., Lesser palatine artery Four arteries contribute to little's area : i) Anterior ethmoidal artery. ii) Septal branch of superior labial artery (Branch of facial A). iii) Septal branch of sphenopalatine artery (Branch of maxillary A). iv) Greater palatine artery (Branch of maxillary A).